Treatment for recurrent ranula is
1. Incision
2. Excision
3. Excision with adjacent glands
4. Marsupialization

Correct answer: 3. Excision with adjacent glands